The confirmatory test for pulp vitality is
1. Thermal test
2. Test cavity
3. Analytical technology electrical pulp tester
4. Digital pulp videography

Correct answer: 2. Test cavity